Conventional unit of Exposure is:
1. C/Kg
2. Air Kerma
3. Roentgen
4. Rad

Correct answer: 3. Roentgen

Explanation: Units (Dosimetry) (Very important):